Most common diaphragmatic hernia in child -
1. Bochadelek
2. Morgagni
3. Eventration of diaphragm
4. Hiatus hernia

Correct answer: 1. Bochadelek

Explanation: Ans. is 'a' i.e., Bochdalek o The most common varient of congenital diaphragmatic hernia is a posterolateral defect also known as Bochdalek's hernia. This anomaly is encountered most commonly on the left,o Morgagni Hernia is anteromedial retrosternal variety of CDH.